A 25 year male presents with ophthalmologic signs of Thyrotoxicosis. All are possibilities, except :
1. Diffused Thyroid goitre
2. Hashimoto's Thyroiditis
3. Riedel's Thyroditis
4. Adenomatous Goitre

Correct answer: 3. Riedel's Thyroditis